Zollinger Ellison syndrome is caused by -
1. Gastrin secreting tumor
2. Somatostatin secreting tumor
3. CCK secreting tumor
4. Adrenalin secreting tumor

Correct answer: 1. Gastrin secreting tumor

Explanation: Ans. is 'a' i.e., Gastrin secreting tumor o Zollinger-Ellison syndrome is caused by gastrin-secreting tumors.o These gastrinomas are most commonly found in the small intestine or pancreas.